Which part of orbicularis oculi is known as Horner's muscle:
1. Orbital
2. Lacrimal
3. Temporal
4. Muller's muscle

Correct answer: 2. Lacrimal

Explanation: Ans. Lacrimal